The protein in glomerular basement membrane responsible for charge dependent filtration is
1. Albumin
2. Collagen type IV
3. Proteoglycan
4. Fibronectin

Correct answer: 3. Proteoglycan

Explanation: Ans. is 'c' i.e., Proteoglycan